Which of the following is the cause of RBBB?
1. It can occur in a normal person
2. Pulmonary embolism
3. Cor pulmonale
4. All of the above

Correct answer: 4. All of the above

Explanation: Causes of RBBB 

Normal physiological
Pulmonary embolism/corpulmonale
Pulmonary artery hypertension
ASD
Rheumac heart disease